In clinical practice, Glomerular Filtration Rate (GFR) is estimated using the plasma clearance value of
1. Inulin
2. PAH
3. Glucose
4. Creatinine

Correct answer: 4. Creatinine